Ligation of the common hepatic aery will compromise blood flow in
1. Right and Left gastric aery
2. Right gastric and sho gastric aeries
3. Right gastroepiploic and sho gastric aeries
4. Right gastric and right gastroepiploic aery

Correct answer: 4. Right gastric and right gastroepiploic aery

Explanation: Rt. Gastric aeryarises from common hepatic aery andRt. Gastroepiploic aeryarises fromgastroduodenal aerywhich is a branch of common hepatic aery. Therefore,ligation of common hepatic aerywill lead to impaired blood supply inRt. Gastric aeryandRt. Gastroepiploic aery. Left gastric aery arises from CT. Sho gastric aeries arise from splenic aery.